Which of the following is caused by deletion of all four alpha globin genes
1. Beta thalassemia major
2. Hb Barts
3. HbH
4. adeg thalassemia trait

Correct answer: 2. Hb Barts

Explanation: Ans. is 'b' i.e., Hb Barts